Drug which is contraindicated in pregnancy is -
1. Tetracycline
2. Erythromycin
3. Ampicillin
4. Chloroquine

Correct answer: 1. Tetracycline

Explanation: Ans. is 'a' i.e., Tetracycline o Not all teratogenic drugs are contraindicated in pregnancy. For example carbamazapine is a teratogenic drug but it is also the DOC for epilepsy in pregnancy. Similarly propylthiouracil is teratogenic but is the DOC for thyrotoxicosis in pregnancy. In these conditions primary management is more important, because if left untreated it may risk the life of pregnant woman and fetus.Important drugs contraindicated in pregnancyo Domperidoneo Lansoprazoleo Cisaprideo Morphineo Tetracyclineso Chloramphenicalo Aminoglycosideso Astemizoleo Diethylcarbamazineo Albendazole, mebendazoleo Warfarino Radioactive iodineo Lithiumo Cyclophosphamideo ACE inhibitorso AT-II antagonistso In previous explanations I have given the list of teratogenic drugs, here I am giving the list of drugs that are contraindicated in pregnancy.